Decalcified freeze dried bone allograft is considered as
1. osteogenic
2. osteoinductive
3. osteoconductive
4. osteoplastic

Correct answer: 2. osteoinductive